Deficiency of vitamin A causes the following except:
1. Night blindness
2. Corneal dryness
3. Bitot's spots
4. Myopia

Correct answer: 4. Myopia